Positive forced duction test is seen in ?
1. Extraocular muscle palsy
2. Mechanical restriction of ocular movement
3. Concomitant squint
4. None

Correct answer: 2. Mechanical restriction of ocular movement

Explanation: Ans. is 'b' i.e., Mechanical restriction of ocular movement forced duction test : Resistance encountered during passive rotation and is seen in incomitant squint due to mechanical restriction. Negative forced duction test :No resistance during passive rotation and is seen in extraocular muscle palsy